Jargon aphaisa is seen in-
1. Wernicke's aphasia
2. Broca's aphasia
3. Conduction aphasia
4. Kosarkoff psychosis

Correct answer: 1. Wernicke's aphasia